Necrosis of cells is due to :
1. Ca2+ efflux cell
2. Fat deposition in cells.
3. Water imbibition in cells.
4. Enzymatic digestion.

Correct answer: 4. Enzymatic digestion.

Explanation: • Necrosis: It refers to morphological changes that follow cell death in living tissues.
• These morphological changes are the result of 2 concurrent processes.
1. Enzymatic digestion.
2. Denaturation of proteins.
• The enzymes used in the process are derived from 2 sources:
1. From the lysosomes of the dead cells themselves (Autolysis).
2. From the lysosomes of immigrant leucocytes (Heterolysis).